Tender hepatomegaly is seen in all except?
1. CHF (Acute)
2. Viral hepatitis
3. Amoebic liver abscess
4. Reye syndrome

Correct answer: 4. Reye syndrome

Explanation: Tender hepatomegaly * CHF (acute) * Viral hepatitis * Amoebic liver abscess Reye syndrome - Anicteric hepatitis with combination of Aspirin + V. Zoster